The most important sign in Volkman's ischemia:
1. Stretch pain
2. Pallor
3. Numbness
4. Obliteration of radial pulse

Correct answer: 1. Stretch pain

Explanation: Ans. A i.e. Stretch pain Volkmann's ischemia The posttraumatic syndrome of Volkmarm's ischemia and infarction is the end result of compromise of muscle perfusion within the osteofascial compartments of the forearm. This compartment syndrome in the hand and forearm can be a serious and debilitating complication of crush injury. The "closed space" arrangement as well as the particular neurovascular anatomy make the flexor forearm muscles particularly susceptible to the cyclic derangement of blood flow, which ultimately results in muscle ischemia and infarction. Pain with passive motion is the most reliable physical finding; however, compartment pressure measurement is the only truly reliable method of diagnosis.